After subtotal colectomy for toxic megacolon in CD, lowest recurrence is with:
1. Complete proctectomy with Brooke ileostomy
2. Ileorectal anastomosis
3. Koch's pouch
4. IPAA

Correct answer: 1. Complete proctectomy with Brooke ileostomy

Explanation: Ans. (a) Complete proctectomy with Brooke ileostomy* Creation of Kock's continent ileostomy pouch is not done nowadays.* Brooke's ilesotomy is the done commonly in emergency cases after total colectomy and proctectomy.